Health worker must visit all houses in his area to check for malaria case:-
1. Weekly
2. Fortnight
3. Monthly
4. Yearly

Correct answer: 2. Fortnight

Explanation: A health worker (MPW-male) must visit all houses in his area once every fortnight (2 weeks) to look for any fever case in last 15 days. If a case of fever is found then a slide of such case is prepared at his home and sent to PHC for further analysis. EXTRA EDGE: Active case detection (ACD): Done in rural areas with blood smears collected by MPWs/ANM during fortnightly house visits. Passive case detection (PCD): Done in fever cases reporting to peripheral health volunteers/ ASHAs, at sub-centres, malaria clinic, CHC & other secondary, tertiary level health institutions that patients visit for treatment. ASHA & other volunteer workers provide diagnostic services by RDTs ; at PHCs by examination of blood smears.